The wrong statement about psychoanalysis is
1. it was given by Freud
2. Transference is patient's feeling for therapist
3. Counter transference is clinican's feelings for patient
4. Unguided communication has no meaning

Correct answer: 4. Unguided communication has no meaning

Explanation: psychoanalysis is the school of psychotherapy introduced by SIGMUND FREUD He is called as FATHER OF PSYCHO ANALYSIS he gave the TOPOGRAPHICAL THEORY OF MIND he gave the STRUCTURAL THEORY OF MIND he gave the INTERPRETATION OF DREAMS he introduced the concept of COUCH TECHNIQUES for understanding the unconsious he introduced transference and counter transference Transference: is the displacement of the patient's feelings onto the analyst. Countertransference: the clinician's feelings toward the patient. Parapraxis: Faulty act, such as a slip of the tongue or the misplacement of an article. It reveals unconscious intent that is outside the individual's awareness. Reference: Kaplan & Sadock's Synopsis of Psychiatry: Behavioral Sciences/Clinical Psychiatry, 10th Edition P.190chap 6.1Sigmund Freud: Founder of Classic Psychoanalysis